Generally, contact areas between posterior teeth are located in which directions from the center of the proximal surface?
1. Facially and occlusally
2. Facially and gingivally
3. Lingually and gingivally
4. Lingually and occlusally

Correct answer: 1. Facially and occlusally